Which of the following is most radiosensitive tumour?
1. Astrocytoma
2. Medulloblastoma
3. Craniopharyngioma
4. Teratoma

Correct answer: 2. Medulloblastoma

Explanation: Ans. Medulloblastoma